The hardest and most highly mineralized substance of tooth is called as
1. Dentine
2. Enamel
3. Cementum
4. Pulp

Correct answer: 2. Enamel